Treatment of choice for Aphakia is:
1. Spectacles
2. Contact lens
3. Exercises
4. IOL

Correct answer: 4. IOL

Explanation: Ans. D i.e. IOL